Treatment of choice for seasonal influenza is
1. Oseltamivir
2. Zanamivir
3. Peramavir
4. Amantadine

Correct answer: 1. Oseltamivir

Explanation: Early treatment of hospitalized adult influenza patients with oseltamivir has been reported to reduce death in some observational studies. Clinical benefit is greatest when antiviral treatment is administered early, especially within 48 hours of influenza illness onset in clinical trials and observational studies Ref Harrison20th edition pg 980